In radiobiology, the "latent period" represent the period of time between:
1. Cell rest and cell mitosis
2. The first and last dose in radiation therapy
3. Film exposure and image development
4. Radiation exposure and onset of symptoms

Correct answer: 4. Radiation exposure and onset of symptoms